Naloxone is not used during resuscitation of a child whose mother is on -
1. Methadone
2. Phenylcyclidine
3. Amphetamine
4. Cocain

Correct answer: 1. Methadone

Explanation: Ans. is 'a' i.e., Methadone o Naloxone is used to reverse neonatal respiratory depression due to opioid use during labour. o It should not be used in cases where mother is opioid dependent. It can result in withdraw! syndrome. o When the mother is on opioids, fetus becomes opioid dependent in-utero and the use of naloxone in respiratory resuscitation may result in severe withdraw! symptoms. "In subjects who are dependent on morphine like opioids (e.g. methadone) small cutaneous doses of naloxone precipitate a moderate to severe withdrawl syndrome that is very similar to that seen after withdrawl of opioids, except that syndrome appears within minutes after administration and subsides in about 2 hours".